Seven sheathed flagella is seen in -
1. V. cholera
2. H. pylori
3. Pseudomonas aeruginosa
4. Spirochetes

Correct answer: 2. H. pylori